Which are not the flexors of forearm?
1. Pronater teres
2. Brachialis
3. Brachioradialis
4. Anconeus

Correct answer: 4. Anconeus

Explanation: The anconeus is extensor of elbow joint Pronator teres is a superficial flexor of the forearm Brachialis is the anterior or flexor compartment of the arm. Brachioradialis flexes the elbow joint but belongs to the lateral group of superficial extensors Ref:1. Clinical anatomy for students, a problem-solving approach, Neeta v Kulkarni, Ist edition, pg73 2.textbook of anatomy upper limb and thorax, Vishram Singh, 2nd edition, pg 107 3.figure 9.1 , page 106: textbook of anatomy upper limb and thorax vishram Singh , 2 nd edition. 4.figure 9.14,page 117: textbook of anatomy upper limb and thorax vishram Singh, 2nd edition